Which of the following is the characteristic of irreversible injury on electron microscopy?
1. Disruption of ribosomes
2. Amorphous densities in mitochondria
3. Swelling of Endoplasmic reticulum
4. Cell swelling

Correct answer: 2. Amorphous densities in mitochondria

Explanation: One of the characteristic features of irreversible injury on electron microscopy is marked dilation of mitochondria with the appearance of large amorphous densities.